Mac Conkey's Agar is
1. Enriched medium
2. Enrichment medium
3. Differential medium
4. Synthetic medium

Correct answer: 3. Differential medium